First clinical sign of vitamin A deficiency:
1. Poor growth
2. Conjunctival xerosis
3. Hydrocephalus
4. Phrynoderma

Correct answer: 2. Conjunctival xerosis

Explanation: First clinical sign of vitamin A deficiency is conjunctival xerosis, while 1st symptom is night blindness.